Anti-double stranded DNA is highly specific for :
1. Systemic sclerosis
2. S.L.E.
3. Polymyositis
4. Rheumatic sclerosis

Correct answer: 2. S.L.E.

Explanation: Ans. is 'b' SLE (Ref: Chandrasoma Taylor, 3/e, p 985, Harrison 17/e p 2079 & 16/e, p 1971).Anti-double stranded DNA is specific for SLE, anti-single stranded DNA is not specific.Also remember Anti-Smith (Anti Sm) is also specific* for SLE and is found in 30% cases of SLE.Anti-histone antibody* is specific for drug induced SLE*.